Alkaline phosphatase level on serum is not increased in -
1. Paget's disease
2. Multiple myeloma
3. Hyperparathyroidism
4. Osteomalacia

Correct answer: 2. Multiple myeloma

Explanation: Important Causes of raised alkaline phosphatase.

Bone diseases - Paget disease, Osteomalacia, rickets, hyperparathyroidism, fresh fracture, Vit D deficiency. Metastatic bone tumors.
Obstructive biliary tract disease - Primary biliary Cirrhosis, biliary stone, Primary sclerosing cholangitis.
Hepatic causes - Infiltrative granulomatous hepatitis, sarcoidosis, amyloidosis, malignancy, viral hepatitis.
Drugs - Estrogen, Chlorpromazine, erythromycin.
Placental - Pregnancy, post menopausal, tumors.